Appendicitis-like syndrome is caused by
1. Y. pestis
2. Y. pseudotuberculosis
3. Pasturella septica
4. Brucella abois

Correct answer: 2. Y. pseudotuberculosis

Explanation: Yersinia enterocolitica: Type 1- Enterocolitis and gastroenteritis; Type 2- mesenteric adenitis and inflammatory terminal ileitis that may mimic appendicitisYersinia pseudotuberculosis: also mimics appendicitisRef: Ananthanarayan 9th edition, p324